Acute kidney injury in rifle criteria is ?
1. Urine output <0*5 ml/kg/h for > 8 hours
2. Urine output <0*5 ml/kg/h for > 12 hours
3. Urine output <0*3 ml/kg/h for > 24 hours
4. Anuria for > 12 hours

Correct answer: 2. Urine output <0*5 ml/kg/h for > 12 hours

Explanation: Ref:Davidson 22 nd edition pg no. 481 KDIGO(kidney disease :improving global outcomes) RIFLE(Risk,injury,failure, Loss, end-stage) Stage 1:urine<0.5ml/kg/hr for6-12hrs =Risk Stage 2:urine <0.5ml/kg/hr for >12 hrs =Injury Stage 3:urine <0.3ml/kg/hr for>24 hrs or absolute anuria for >12hrs =failure Persistent AKI or complete loss of kidney function for>4wks Loss Need for renal replacement therapy for>3mts End stage renal disease ref Harrison20th edition pg 277